Treatment of choice in intractable ulcerative colitis ;
1. Mucosal proctectomy - Ileoanal pouch anastomosis
2. Proctectomy
3. Colectomy with ileostomy
4. Ileorectal anastomosis

Correct answer: 1. Mucosal proctectomy - Ileoanal pouch anastomosis

Explanation: Indications for surgery in ulcerative colitis Intractable disease Fulminant disease Toxic megacolon Colonic perforation Massive colonic hemorrhage Extracolonic disease Colonic obstruction Colon cancer prophylaxis Colon dysplasia or cancer